The commonest site of lymphoma in the gastrointestinal system is -
1. Small bowel
2. Stomach
3. Large intestine
4. Oesophagus

Correct answer: 2. Stomach

Explanation: Ans. is 'b' i.e., Stomach